Drug used in the treatment of Scorpion sting
1. Acetaminophen
2. Diazepam
3. Promethazine
4. Prazosin

Correct answer: 4. Prazosin

Explanation: Prazosin is α blocker used in the treatment of Scorpion sting.